The agent of choice for controlling heparin induced bleeding is
1. Protamine sulphate
2. Injectable vitamin K
3. Whole blood
4. Fresh frozen plasma

Correct answer: 1. Protamine sulphate